Enzymes found in CSF
1. GGT+ALP
2. ALP+CK-MB
3. CK +LDH
4. Deaminase and peroxidase

Correct answer: 3. CK +LDH

Explanation: The diagnostic value of cerebrospinal fluid (CSF) enzyme activities in neurological disorders has been evaluated most extensively with the enzymes aspartate aminotransferase (ASAT), lactate dehydrogenase (LDH), creatine kinase (CK) and lysozyme Refer Robbins page no chatteejee shinde 8th/730